Heat Rupture is characterized by:
1. Regular margins
2. Irregular margins
3. Ruptured blood vessels
4. Ruptured Red Blood cells

Correct answer: 2. Irregular margins

Explanation: Heat ruptures are associated with irregular margins. Ref: The Essentials of Forensic Medicine and Toxicology By Dr K S Narayan Reddy, 27th Edition, Page 286 and 28th Edition, Page 283